All of the following drugs are used as oral treatment for arrhythmia except:
1. Amiodarone
2. Esmolol
3. Quinidine
4. Verapamil

Correct answer: 2. Esmolol

Explanation: Ans. B. EsmololEsmolol is shortest acting beta blocker, it has to giveni/v for acute therapy. Rest of the drugs can be given via oral route.